All are true regarding Reinke's oedema except?
1. Usually caused by vocal abuse
2. There is collection of oedema fluid in the subepithelial space
3. There is asymmetrical swelling of vocal cords
4. Vocal cord stripping is the treatment

Correct answer: 3. There is asymmetrical swelling of vocal cords

Explanation: Reinke's oedema is caused by vocal abuse or smoking. There is diffuse symmetrical swelling of both vocal cords. Vocal cord stripping is the treatment of choice. Enough mucosa should be preserved for epithelialization. Ref: Diseases of Ear, Nose and Throat by P.L. Dhingra, 9th edition, p323.